Which of the following tumours have an increased elevation of placental alkaline phosphatase in the serum as well as a positive immunohistochemical staining for placental alkaline phosphatase ?
1. Seminoma
2. Hepatoblastoma
3. Hepatocellular carcinoma
4. Peripheral neuroectodermal tumour

Correct answer: 1. Seminoma

Explanation: Ans. is 'a' i.e., Seminomao Alkaline phosphatase - There are four major sources of Alkaline phosphatase in the body. These are:-(a) Liver (c) Intestine(b) Bone (d) Placentao So the normal serum alkaline phosphatse consists of 4 isoenzymes secreted from the above mentioned sites. o Placental alkaline phosphatase is elevated in the following conditions ?(a) Seminoma (c) Third trimester ofpregnancy(b) ChoriocarcinomaAbout other options ?o In liver diseases and hepatocellular carcinoma the alkaline phosphatase elevated is of liver origin. Similarly the alkaline phosphatase elevated in bony diseases is due to some pathology in bone.